Commonest ovarian tumor complicating pregnancy is : commonest ovariantumor complicating preg? nancy is :
1. Fibroma
2. Mucinous cystadenocarcinoma
3. Serous cystadenocarcinoma
4. Dermoid

Correct answer: 4. Dermoid

Explanation: Dermoid